The Eustachian tube opens into nasopharynx approximately 1 cm behind the:
1. Tonsil
2. Posterior end of superior turbinate
3. Posterior end of middle turbinate
4. Posterior end of inferior turbinate

Correct answer: 4. Posterior end of inferior turbinate

Explanation: (d) Posterior end of inferior turbinate(Ref. Scott Brown, Vol 3; 738)Eustachian tube opens in the lateral wall of nasopharynx about 1.25cm behind the posterior end of inferior turbinate.Around 1cm behind the posterior end of middle turbinate is the sphenopalatine foramen. This is the most common site for origin of angiofibroma.There is no opening behind the superior turbinate.Tonsils are present in the oropharynx.